A characteristic feature of schizoid personality is -
1. Conversion reaction
2. Not concerned with disease
3. Checks details of all things
4. Emotional coldness

Correct answer: 4. Emotional coldness

Explanation: Schizoid personality disorder is characterized by emotional coldness, marked detachment from other and little/no desire for close relationship. Patient invariable prefers solitary activity.